The mineral having action like vitamin E
1. Calcium
2. Iron
3. Selenium
4. Magnesium

Correct answer: 3. Selenium

Explanation: Selenium is having action like VitE. Selenium acts as a nonspecific intracellular anti-oxidant. This action of Se is complementary to vitamin E. Availability of vitamin E reduces the selenium requirement. In Se deficiency, tissue vitamin E content is depleted. Reference: Vasudevan Textbook of Biochemistry pg no. 430